Drug used for acute severe asthma is
1. MGS04
2. Cromolyn sodium
3. Anti leukotriene
4. Cyclosporine

Correct answer: 1. MGS04

Explanation: Magnesium produce broncho dilatationRef:Harrison 17th ed Pg 1605